Death due to which poison causes postmortem staning of cherry-red colour
1. Carbon monoxide
2. Aniline
3. Phosphorus
4. Nitrites

Correct answer: 1. Carbon monoxide